An important clinical feature of a concussed tooth is:
1. Tooth is markedly tender to percussion
2. Tooth is displaced from the socket
3. Evidence of haemorrhage at gingival margin
4. Clinically crown appears shorter

Correct answer: 1. Tooth is markedly tender to percussion

Explanation: Concussion 

Tooth is not displaced.
Mobility is not present.
Tooth is tender to percussion because of edema and hemorrhage in the periodontal ligament.
Pulp may respond normal to testing.